Mallory bodies are composed of-
1. Fat droplets
2. Mitochondria ediate filaments
3. Lysosomal enzymes
4. Intermediate filaments

Correct answer: 4. Intermediate filaments

Explanation: Mallory-Denk bodies: These are usually present as clumped, amorphous, eosinophilic material in ballooned hepatocytes. They are made up of tangled skeins of intermediate filaments such as keratins 8 and 18 in complex with other proteins such as ubiquitin They are a nonspecific finding and can be found in patients with several diseases other than alcoholic hepatitis, such as Wilson's disease ref:-basic pathology robbins 9th ed, page 858